The lipogranulomatous chronic inflammation of the meibomian gland is called:
1. Hordeolum internum
2. Stye
3. Xanthelasma
4. Chalazion

Correct answer: 4. Chalazion

Explanation: Ans: (d) ChalazionRef: A.K. Khurana's Comprehensive Ophthalmology, 6th edition, Page 367-370 Hordeolum externumHordeolum internumChalazionDefinition*. Acute suppurative inflammation of the glands of Zeis and Moll*. Zeis - modified sebaceous glands and Moll - modified sweat gland. Both open at the root of lash follicles*. Acute suppurative inflammation of the meibomian glands*. Meibomian gland is a modified sebaceous gland situated in the tarsal plate*. Chronic lipogranulomatous inflammation of the meibomian glandEtiopathogenesis*. Infective - Staphylococcus aureus*. Infective - Staphylococcus aureusLow grade infection of the meibomian gland - proliferation of the duct epithelium and infiltration blockage of meibomian gland ducts - retention of lipid secretion (sebum) - extravasated fatty contents act like irritant - induce chronic non-infective lipogranulomatous inflammation of the glandSymptomsAcute painful lid swellingsAcute painful lid swellingsChronic painless lid swellingSignsSwelling and pus point seen at the lid margin at the root of the lashesSwelling and pus point seen away from the lid marginmore on the conjunctival sidePainless swelling - increasing in size Large chalazion may cause defective vision by pressing on the cornea (astigmatism)Treatment*. Hot fomentation*. Topical and systemic antibiotics*. Systemic anti-inflammatory*. EpilaStion to evacuate pus*. Hot fomentation*. Topical and systemic antibiotics*. Systemic antiinflammatory*. Incision and drainage to evacuate pus*. Incision and curettage**. Intralesional long acting steroids* Incision and curettage for chalazion: Incision on conjunctival side is vertical over the swelling to prevent injuries to the neighbouring glands since the meibomian glands are vertically arranged. If the swelling is more towards the skin side, then incision is done along the skin crease, i.e., horizontal.